Ventilation perfusion ratio is maximum at :
1. Apex of lung
2. Base of lung
3. Posterior lobe of lung
4. Middle of the lung

Correct answer: 1. Apex of lung

Explanation: A i.e. Apex of lung